'Tram line' calcification seen in skull X-ray are characteristic of:
1. Congenital cytomegalovirus injection
2. Congenital toxoplasmosis
3. Craniopharyngioma
4. Sturge Weber Syndrome

Correct answer: 4. Sturge Weber Syndrome

Explanation: Ans. Sturge Weber Syndrome